Myositis ossificans is most common around the -- joint
1. Knee
2. Elbow
3. Wrist
4. Hip

Correct answer: 2. Elbow

Explanation: B i.e. Elbow